Spring water cyst is another name for –
1. Hydatid cyst of lung
2. Lung amoebic cyst
3. Pleuropericardial cyst
4. Enterogenous cyst

Correct answer: 3. Pleuropericardial cyst

Explanation: Pleuropericardial cyst has many synonyms: pericardial cyst, coelomic cyst, spring water cyst, serosal cyst, mesothelial cyst, parapericardial cyst, simple cyst, and hydrocele of the mediastinum.